Helper T-cells are primarily involved in ?
1. Cell mediated immunity
2. Killing virus infected cells
3. Killing tumor cells
4. Involved in type II hypersensitivity

Correct answer: 1. Cell mediated immunity

Explanation: Ans. is 'a' i.e., Cell mediated immunity The main types of B cells are plasma cells, plasmablasts, memory B cells, and regulatory B cells. T cells are involved in cell-mediated immunity, whereas B cells are primarily responsible for humoral ( antibody -related) immunity.